Which of the following is false regarding Cytosolic Eukaryotic gene expression?
1. Capping helps in attachment of mRNA to 40 S Ribosome
2. N formyl methionine tRNA will be the first t-RNA to come into action
3. EF2 shifts between GDP and GTP
4. Releasing factor releases the polypeptide chain from the P site

Correct answer: 2. N formyl methionine tRNA will be the first t-RNA to come into action

Explanation: In Eukoryotic cells all polypeptides synthesized begin with a Methionine (Met) Residue rather than Formyl Methionine (F met) Residue. Ref: Lehninger Textbook of Biochemstry4th Edition, Page 1055 1008; Lippincott's Biochemistry 3rd Edition, Page 436; Color Atlas Of Genetics By Eberhard Passarge, 2007, Page 218.